Phage typing is widely used for the intraspecies classification of one of the following bacteria:
1. Staphylococci
2. E. coli
3. Kleb. Pneumoniae
4. Pseudomonas aeruginosa

Correct answer: 1. Staphylococci

Explanation: Ans. is 'a' i.e., StaphylococciStaphylococcus strains are further differentiated into subspecies level on the basis of their bacteriophage susceptibility.